Drug of choice for acute severe asthma is:-
1. Short acting beta 2 agonists
2. Long acting beta 2 agonist
3. Oral theophylline
4. Inhaled ipratropium bromide

Correct answer: 1. Short acting beta 2 agonists

Explanation: Short acting beta 2 agonists like salbutamol are drug of choice for acute severe asthma Condition Drug of choice Bronchial Asthma Acute attack Salbutamol Acute attack in pregnancy Salbutamol Acute attack during labour Ipratropium Acute attack in patients on beta blocker therapy Ipratropium Prophylaxis Corticosteroids Exercise-induced asthma Acute attack Salbutamol Prophylaxis Corticosteroids Aspirin-induced asthma Acute attack Salbutamol Prophylaxis Corticosteroids Brittle asthma Type 1 S.C. Terbutaline infusion Type 2 S.C. Adrenaline